Which of the following is not a component of the crush syndrome.
1. Myohemoglobinuria
2. Massive crushing of muscles
3. Acute tubular necrosis
4. Bleeding diathesis

Correct answer: 4. Bleeding diathesis

Explanation: Ans. is 'd' i.e., Bleeding diathesis Crush syndrome results from massive crushing of muscles. Crushing of muscles leads to release of large amounts of my haemoglobin into the circulation. which is excreted in urine (Myohaemoglobinuria).Myohemoglobin is an endogenous nephrotoxin. It can cause acute tubular necrosis particularly in hypovolemic or acidotic pts.